Most common cause of mitral valve disease:
1. Infective endocarditis
2. Myxoma
3. Tuberculosis
4. Rheumatic fever

Correct answer: 4. Rheumatic fever

Explanation: Ans. D i.e. Rheumatic feverRheumatic feverIt is an inflammatory disease that occurs following a Streptococcus pyogenes infection, such as streptococcal pharyngitis or scarlet fever.Believed to be caused by antibody cross-reactivity that can involve the heart, joints, skin, and brain, the illness typically develops two to three weeks after a streptococcal infection.Acute rheumatic fever commonly appears in children between the ages of 6 and 15, with only 20% of first-time attacks occurring in adults.The illness is so named because of its similarity in presentation to rheumatism.Mitral valve is commonly affected followed by aortic valve.